Gustilo Anderson classification is used for ?
1. Compound fractures
2. Closed fractures
3. Distal end radius fractures
4. Femur head fractures

Correct answer: 1. Compound fractures

Explanation: Ans. is 'a' i.e., Compound fractures Compound fracture Compound fracture, also called open fracture, in which fracture communicates with external environment, i.e., overlying soft tissue coverage (skin and muscles) is breached. Open fractures are typically caused by high energy injuries such as car crashes, falls, or sports injuries. Gustila and Andersion classified open fracture into following types.